The most common cause of Volkmann's ischaemic contracture in a child is -
1. Intercondylar fracture of humerus
2. Fracture both bone of forearm
3. Fracture lateral condyle of humerus
4. Supracondylar fracture of humerus

Correct answer: 4. Supracondylar fracture of humerus

Explanation: VOLKMANN'S ischaemia is an ischaemic injury to the muscles and nerves of the flexor compartment of the forearm. It is caused due to occlusion of the brachial artery by a supracondylar fracture. Most commonly affected muscles are the flexor pollicis longus and medial half of flexor digitorum profundus. Muscle ischaemia leads to compartment syndrome. REF:- Maheshwari 9th ed - pg no 101.